Shrinking lung is a feature of
1. SLE
2. Rheumatoid arthritis
3. Sarcoidosis
4. Scleroderma

Correct answer: 1. SLE

Explanation: Shrinking lung syndrome (SLS) is an uncommon feature of systemic lupus erythematosus (SLE) characterized by dyspnea, pleuritic chest pain, diaphragmatic elevation, restrictive ventilatory defect and reduced respiratory muscle strength as measured by volitional tests. Ref - pubmed.com